Type 1 thyroplasty is true
1. Lateralisation of vocal cord
2. Medialisation of vocal cord
3. Vocal cord shortening
4. Vocal cord Lenhtheninh.

Correct answer: 2. Medialisation of vocal cord

Explanation: Medialisation of vocal cord, used in unilateral complete vocal palsy.
4 types of Thyroplaty.

p - Type 1 - Proximalisation / medialise of VC in u/c complete palsy.
La - Type 2 - Lateralisation of VC.
S - type 3 - shortening of UC / relaxing of UC, used in puberophonia .
Ty - type 4 - Tightening of VC used in androphonia[Female with low pitch voice.